Wound contraction is primarily mediated by
1. Smooth muscle cells.
2. Macrophages.
3. Fibroblasts.
4. Myofibroblasts.

Correct answer: 4. Myofibroblasts.

Explanation: Myofibroblasts, cells with features intermediate between fibroblasts and smooth muscle cells, appear in the wound 2 to 3 days after injury. Their active contraction decreases the size of the defect.